Demographic process does not include
1. Fertility
2. Morbidity
3. Mortality
4. Social mobility

Correct answer: 2. Morbidity

Explanation: Demographic processes 5 processes continuously on work in a population, thus determining its size, composition and distribution Fertility. Marriage Mortality Migration Social mobility Ref: Park 25th edition Pgno : 530